Tarsal bone interposed between the proximal and distal rows is
1. Talus
2. Calcaneus
3. Cuboid
4. Navicular

Correct answer: 4. Navicular

Explanation: The navicular bone is boat-shaped. It is interposed between the talus and the three cuneiform (Latin wedge) bones. In other words, it is interposed between the proximal and distal rows.Ref: Chaurasia; Volume 2; 6th edition; Page no: 33